Disease described as "Silent Epidemic" of the century
1. Ischeamic heart disease
2. Road traffic accident
3. Alzheimers disease
4. Obesity

Correct answer: 3. Alzheimers disease

Explanation: Alzheimer's was considered as silent epidemic of the century. Ref : Park 23rd edition Pgno : 45